A 6 year old male patient has come for his routine dental appointment. He is nervous and apprehensive as this is his first visit to a dental clinic. Which of the following method would be useful as a preappointment behavior modification tool in this patient ?
1. Modeling
2. Contingency management
3. Conscious sedation
4. None of the above

Correct answer: 1. Modeling

Explanation: Several methods of preappointment behavior modification are recognized. Films or videotapes have been developed to provide a model for the young patient. The goal is for the patient to reproduce behavior exhibited by the model. On the day of the appointment, or perhaps at a previous visit, the new pediatric patient views the presentation.
Note: Role playing is a characteristic feature in preschoolers. The best behavior management technique used to manage these children is modeling (imitation).